Which block to described as spinal anesthesia of arm:-
1. Interscalene block
2. Supraclavicular brachial plexus block
3. Infraclavicular block
4. Axillary block

Correct answer: 2. Supraclavicular brachial plexus block

Explanation: Supraclavicular block is described as the spinal of the arm as if offers dense anesthesia of the brachial plexus for the surgical procedures at or distal to the elbow. Brachial plexus block Level interscalene approach targets routes supraclavicular targets trunks /division infraclavicular targets cords Procedure Site Interscalene Supraclavicular Infraclavicular Axillary1 Shoulder2 ++ +3 Arm2 + ++ + Elbow2 ++ ++ + Forearm2 + ++ ++ Hand2 + + ++